Narrowest part of infantile Larynx is-
1. Supraglottic
2. Subglottic
3. Glottic
4. None of the above

Correct answer: 2. Subglottic

Explanation: In an infant, the narrowest part of larynx is subglottic part at cricoid level, in comparison to adult where rima glottidis is narrowest.